All are complications of hyperemesis gravidarum, EXCEPT?
1. Mallory weiss tears
2. Wernickes encephalopathy
3. Renal Failure
4. Hiatus hernia

Correct answer: 4. Hiatus hernia

Explanation: Complications of hyperemesis gravidarum are: Neurological Others Wernickes encephalopathy Gastric ulcers Korsakoff psychosis Mallory Weiss tears Retinal hemorrhages Liver damage Pontine myelinosis Renal failure Convulsions Coagulopathy Coma